All are associated with malignancy except
1. Down's syndrome
2. Bloom syndrome
3. Fragile - X syndrome
4. Fanconi's anaemia

Correct answer: 3. Fragile - X syndrome

Explanation: Disorder
Tumour 


Down syndrome
AML M7, ALL


Bloom syndrome 
Leukemia, lymphma


Fanconi's anaemia 
Leukemia, myelodysplastic syndrome